A 28-year-old lady presented with, headache, kernigs sign positive, culture showed gram positive bacilli, most probable organism is:
1. Listeria monocytogenes
2. H. influenza
3. Meningococci
4. Streptococcus pneumoniae

Correct answer: 1. Listeria monocytogenes

Explanation: Ans. (a) i.e. Listeria monocytogenes Among options provided listeria is the only Gr positive bacilli. Listeria accounts for 10% of cases of community acquired bacterial meningitis. For details see previous answers.